Edema of hands & feet in Infants is characterised -
1. Klinefelter's syndrome
2. Noonam syndrome
3. Turners syndrome
4. Fragile x syndrome

Correct answer: 3. Turners syndrome

Explanation: Ans. is 'c' i.e., Turners Syndrome o Lymphedema of hand and feet is characteristically seen in Turner syndrome.